Which of the following is associated with extremely foul-smelling infection -
1. Klebsiella rhinoscleromatis
2. Klebsiella seeberi
3. Klebsiella zygomaticus
4. Klebsiella ozaenae

Correct answer: 4. Klebsiella ozaenae

Explanation: Ans. is 'd' i.e., Klebsiella Ozaenae * K. ozaenae is a bacillus associated with Ozena, a disease characterized by foul-smelling nasal discharge.